Causes of painful arc syndrome is/ are ?
1. Supraspinatus tendinitis
2. Subacromial bursitis
3. Fracture of greater tuberosity
4. All the above

Correct answer: 4. All the above

Explanation: Ans. is 'd' i.e., All the above Painful Arc syndrome This is a clinical syndrome in which there is pain in the shoulder and upper arm during the mid range of glenohumeral abduction. Following are the common causes : Minor tears of the supraspinatus tendon Supraspinatus tendinitis Calcification of supraspinatus tendon Subacromial bursitis Fracture of the greater tuberosity In all these conditions, the space between the upper - end of the humerus and the acrominon gets compromised, so that during mid - abduction the tendon of the rotator - cuff gets nipped between the greater tuberosity and acrominon. X- ray of the shoulder may show calcific deposit, or a fracture of the greater tuberosity or acromion. o Treatment consists of ultrasonics to the tender point and anti- inflammatory drugs. Some cases need an injection of hydrocortisone in the subacromial space or excision of the anterior, often prominent part of the acromion.